Cherry red spot found in –a) Gangliosidosisb) Retinopathy of prematurityc) Tay– Sach\'s diseased) Gaucher's diseasee) Retinal detachment
1. abc
2. acd
3. bc
4. bde

Correct answer: 2. acd

Explanation: Causes of cherry red spot

GM2 gangliosidoses (Tay sachs & sandhoff)                     
GM1 gangliosidoses                                                                 
Niemann - Pick's disease                                                         
Gaucher's disease                                                                       
Metachromatic leukodystrophy                                             
Central retinal artery occlusion (CRAG)                              
Trauma (Berlin's edema / commotio retinae)                     
Quinine and Dapsone                                                               
Farber's disease                                                                         
Goldberg's disease     
Cryoglobulinemia
Laber's congenital amaurosis
Sialidosis (galactosialidosis) 
Mucopolysacharidosis VII
Multiple sulfatase deficiency 
Poisoning :- Carbon mono-oxide, methanol    
Shprintzen-Goldberg syndrome
Hallervorden spatz disease       
Rarely in krabbe's disease